Angular conjunctivitis is commonly caused by:
1. Pneumococcus
2. Moraxella
3. Streptococcus
4. All of the above

Correct answer: 2. Moraxella

Explanation: Ans. B: Moraxella Angular conjunctivitis/ diplobacillary conjunctivitis may be caused by staphylococci but is typically due to Moraxella lacunata Angular conjunctivitis/ Moraxella conjunctivitis It is a subacute bilateral conjunctival inflammation sometimes caused by the Moraxella bacillus, marked by redness of the lateral canthi and scanty, stringy discharge that adheres to the lashes. Morax (1896) published a short paper in which he recorded all the essential points of a disease which he named "conjunctivite aigue". The following month in the same year Axenfeld presented his independent investigations at the International Congress of Heidelberg 1896 calling the condition 'chronic diplobacillary conjunctivitis'. The organism soon became known as Morax Axenfeld diplobacillus. Eyre (1900) applied the name lacunatus because of its tendency to form lacunae or pits in Loeffler's solid medium. Persons of every age and race may be affected but the adults especially the aged and debilitated are attacked most commonly. The organisms may reach the eye from the upper respiratory passages and from the nose, the infection travelling in a retrograde fashion or more likely may be carried to the eyes by handkerchief or soiled fingers. Slight alkalinity of the tears is conducive to the growth of the organism.